Which of the following is a special stain used to diagnose fungal hyphae in tissues-
1. Masson trichome
2. Silver methenamine
3. Congo Red
4. Alizarin Red

Correct answer: 2. Silver methenamine

Explanation: Ans. is 'b' i.e., Silver methenamineo Gomori methamine silver stain (GMS) and periodic acid Schiff (PAS) are the two most common stains used to look for fungi in tissues and cytology specimens.